Arterial thrombosis is seen in
1. Homocysteinemia
2. Protein S deficiency
3. Protein C deficiency
4. Antithrombin III deficiency

Correct answer: 1. Homocysteinemia